First rank symptoms of schizophrenia are all except-
1. Ambivalence
2. Running commentaiy
3. Primary'delusion
4. Somatic passivity'

Correct answer: 1. Ambivalence

Explanation: Ans. is 'a' i.e., Ambivalence Schneider's first rank symptomsHallucinations Audible thoughts, voices commenting on one's action, voices heard arguing two or more hallucinatory voices discussing the subject in third person (third person hallucination).Thought attention phenomena Thought insertion, thought withdrawal, thought broadcasting.Passivity' phenomena Made feeling (affect), made impulse, mode volition (acts), somatic passivity.Delusional perceptions (Primary delusions).